Mikulicz cell and Russell bodies are characterisitic of:
1. Rhinoscleroma
2. Rhinosporidiosis
3. Plasma cell disorder
4. Lethal midline granuloma

Correct answer: 1. Rhinoscleroma

Explanation: Ans. A. Rhinoscleroma